Spironolactone is contraindicated with which of the following drugs:
1. Enalapril.
2. Atenolol.
3. Verapamil.
4. Chlorthiazide.

Correct answer: 1. Enalapril.

Explanation: Spironolactone is a K+ sparing diuretic. It should be used cautiously if the patient is receiving K+ salts or drugs increasing serum K+ levels.

ACE inhibitors can also cause hyperkalemia as an adverse effect. If these are combined with K+ sparing diuretics, cardiac arrhythmia due to high serum K+ levels may develop